True statement about "Barrets Esophagus" is:
1. Non premalignant
2. Progresses to SCC.
3. Irreversible
4. Chronic reflux is a cause

Correct answer: 4. Chronic reflux is a cause

Explanation: Chronic reflux is a cause